A 54 yr old chronic alcoholic Ashiya Kumar is brought by his sons he has developed progressively increasing abdominal distension from past 3months.The physician aspirates the abdominal fluid which is straw colour and clear and is found to have protein content of 2.3 g/dl.which of following is a major contributor to the fluid accumulation in this patient
1. Blockage of lymphatics
2. Decreased oncotic pressure
3. Decreased capillary permeability
4. Inflammatory exudate

Correct answer: 2. Decreased oncotic pressure

Explanation: Ref Robbins 8/e p112,9/e p114 Six factors can contribute to the formation of edema: increased hydrostatic pressure; reduced colloidal or oncotic pressure within blood vessels; increased tissue colloidal or oncotic pressure; increased blood vessel wall permeability (e.g., inflammation); obstruction of fluid clearance in the lymphatic system; changes in the water retaining properties of the tissues themselves. Raised hydrostatic pressure often reflects retention of water and sodium by the kidneys